Spontaneous bacterial peritonitis, neutrophil count-
1. > 250 cells /cumm
2. > 100 cells /cumm
3. > 200 cells /cumm
4. < 100 cells /cumm

Correct answer: 1. > 250 cells /cumm

Explanation: Ans. is 'a' i.e., > 250 cells/cumin o More than 250 neutrophills/cu mm of ascitis fluid suggest an acute inflammarory process, the most common of which is spontaneous bacterial peritonitis.